A surgical obturator has to be inserted
1. One day prior to the surgery
2. On the day of the surgery
3. 14 days after the surgery
4. 30 days after the surgery

Correct answer: 2. On the day of the surgery